Cleft tongue and clefting of mandibular alveolar process seen in:
1. Median cleft face syndrome.
2. Oro facial digital syndrome.
3. Vander woudes syndrome.
4. Ascher syndrome.

Correct answer: 2. Oro facial digital syndrome.